A 60-year old male presents to the clinic with complaints of abdominal pain, constipation oand loin pain radiating to the groin of over a week duration. He has a 25-pack year smoking history and is currently being evaluated for a hilar mass picked up on chest radiography. As part of this work up, the serum calcium was found to The elevated serum calcium level is linked to
1. Parathyroid adenoma
2. Parathyroid hyperplasia
3. Vitamin D intoxication
4. Secretion of PTH related peptide

Correct answer: 4. Secretion of PTH related peptide

Explanation: Paraneoplastic syndromes are common in patients with lung cancer.Endocrine syndromes are seen in 12% of patients.Hypercalcemia resulting from ectopic production of parathyroid hormone(PTH),or more commonly,PTH related peptide,is the most life threatening metabolic complication of malignancy,primarily occuring with squamous cell carcinomas of the lung.Clinical symptoms include nausea,vomiting,abdominal pain,constipation,polyuria,thirst, and altered mental status. Ref:Harrison' s medicine-18th edition,page no:743.